Atlanto axial joint is which type of a joint?
1. Pivot
2. Condylar
3. hinge
4. biaxial

Correct answer: 1. Pivot

Explanation: Ans. is 'a' i.e., Pivot Classification of JointsA. Fibrous joints* Lack intervening cartilage and hence have restricted mobility.1. Gomphosis2. Syndesmosis::Dento-alveolar pegInferior tibiofibular jointPosterior part of sacroiliac jointInterosseous membrane of forearm3. Schindylesis4. Sutures of the skull:Vomer - sphenoidal rostrum junctionB. Cartilagenous joints* These are of 2 types depending on intervening cartilage.I. Primary cartilaginous joints (Synchondrosis/Hyaline cartilage joints)1. Spheno-occipital joint2. Growth plate3. Costochondral joint4. 1st chondrosternal jointII. Secondary cartilaginous joints (Symphyses / fibrocartilagenous joints)Fibrocartilage is interposed between bone ends covered with articular hyaline cartilage.All of them occur in midline.1. Symphysis menti2. Pubic symphysis3. Sacrococcygeal joint4. Intervertebral joint5. Manubriosternal joint6. Xiphisternal jointC. Synovial joints I. Uniaxial 1. Plane/Flat joint-Acromioclavicular jointIntermetatarsal joints2. Hinge joints-Elbow joint3. Pivot joint-Atlantoaxial jointSuperior radioulnar jointII. Biaxial 1. Bicondylar (condyloid joint)-Knee jointTemporomandibular jointAtlanto occipital joint2. Ellipsoid joint-Wrist jointMetacarpophalangeal joint3. Saddle joint-1st carpo-metacarpal jointSternoclavicular jointCalcaneocuboid jointAnkle jointIncudomalleolar jointIII. Multiaxial Ball and socket joint-ShoulderHipIncudostapedial jointTalo-calcaneo-navicular joint